All are examples of cortical dementia except -
1. Alzheimer's disease
2. Multiple sclerosis
3. Creutzfeldt Jacob disease
4. Pick's disease

Correct answer: 2. Multiple sclerosis

Explanation: In multiple sclerosis, subcortical dementia occurs.
Alzheimer's disease, Pick's disease and CJD cause cortical dementia.